The signs and symptoms of CRF are seen from what stage of renal deterioration -
1. GFR-90ml/min/1.73m2
2. GFR-70ml/min/1.73m2
3. GFR-45ml/min/1.73m2
4. GFR-80ml/min/1.73m2

Correct answer: 3. GFR-45ml/min/1.73m2

Explanation: Ref:Harrison 20 th edition pg no 2112 The classification of chronic kidney disease -based on GFR G1 Normal or high >or equal to 90ml/min/1.73m2 G2 mildly decreased 60-89 G3a mildly to moderately decreased 45-59 G3b moderately to severely decreased 30-44 G4 severely decreased 15-29 G5 Kidney failure <15 Ref Harrison20th edition pg 289